In otosclerosis during stapedectomy surgery, prosthesis used is
1. Teflon piston
2. Grommet
3. Total ossicular replacement
4. All

Correct answer: 1. Teflon piston

Explanation: Stapes is removed and replaced by prosthesis Teflon piston in stapedectomy in otosclerosis. In Stapedectomy / Stapedotomy, fixed otosclerotic stapes is removed and a prosthesis inserted between the incus and oval window. Prosthesis employed may be a Teflon piston, stainless steel piston, platinum - telfon or titanium - Teflon piston. Ref: Diseases of EAR, NOSE and THROAT by PL Dhingra; 7th Edition; page no.97; figure 13.3